Amount of ORS given in a 4 kg child with diarrhea with some dehydration:
1. 200 mL
2. 300 mL
3. 400 mL
4. 800 mL

Correct answer: 2. 300 mL

Explanation: For some dehydration, amount of ORS given is 75 ml/kg = 75 x 4 = 300 ml, over 4 hours